Von Magnus phenomenon?
1. Is a normal replicative cycle
2. Virus yield has low hemagglutination
3. Virus high infectivity
4. Virus yields has high hemagglutination titre but low infectivity

Correct answer: 4. Virus yields has high hemagglutination titre but low infectivity

Explanation: When passaged serially in eggs,using as inocula undiluted infected allantoic fluid,the progeny virus will show high hemagglutinin titres ,but low infectivity. This has been called the Von Magnus Phenomenon and is due to the formation of incomplete virus particles lacking nucleic acid. REF:ANANTHANARAYAN AND PANIKER'S TEXTBOOK OF MICROBIOLOGY 9TH EDITION PAGE NO.500